All of the following structures pierce through clavipectoral fascia, EXCEPT ?
1. Lateral pectoral nerve
2. Lateral thoracic artery
3. Cephalic vein
4. Thoraco acromial artery

Correct answer: 2. Lateral thoracic artery

Explanation: The clavipectoral fascia is a thick sheet of connective tissue that connects the clavicle to the floor of the axilla. It encloses the subclavius and pectoralis minor muscles and spans the gap between them. Important structures that pass between the subclavius and pectoralis minor muscles include,Cephalic veinThoraco-acromial arteryLateral pectoral nerve The lateral thoracic artery leaves the axilla by passing through the fascia inferior to the pectoralis minor muscle.